Surface ectoderm form
1. Lens of eye
2. Retina
3. Iris
4. Corneal stroma

Correct answer: 1. Lens of eye